A patient with mitral stenosis had to undergo surgery. A pre-anaesthetic checkup revealed the increased liver enzymes. Which of the following inhalational agent should be preferred in this patient?
1. Xenon
2. Enflurane
3. Halothane
4. Sevoflurane

Correct answer: 1. Xenon

Explanation: Halothane is hepatotoxic and all fluorinated anesthetic agents can cause a dose-dependent decrease in arterial BP and depression of heart. Xenon has minimal effect on CVS function.